In the international death certificate, one of the following is not true
1. Part I of of the certificate deals with the immediate cause and also the underlying cause
2. Part I of the certificate deals with the immediate cause only
3. Part II records significantly associated diseases
4. The certificate has been recommended by the WHO for international use

Correct answer: 2. Part I of the certificate deals with the immediate cause only

Explanation: International Death Certificate:

Recommended by WHO for international use.
2 parts:
PART 1: deals with immediate cause, and the underlying cause which started the whole trend of events leading to death. The underlying cause of death is recorded on line (c).
PART 2: any significant associated diseases that contributed to the death but did not directly lead to it.